Most common cause of hyperparathyroidism -
1. Iatrogenic
2. Medullary carcinoma thyroid
3. Parathyroid adenoma
4. Parathyroid hyperplasia

Correct answer: 3. Parathyroid adenoma